Ideal treatment of rhinosporidiosis is:
1. Rifampicin
2. Excision with cautery at base
3. Tetracycline
4. Laser

Correct answer: 2. Excision with cautery at base

Explanation: (b) Excision with cautery at base(Ref. Scott Brown, 6th ed., 4/8/40)Rhinosporidiosis is managed by wide excision and cauterisation of base. Recurrence may occur if sporangium is left behind. Dapsone is given in the postoperative period to decrease the chances of recurrence.